HBV replication is indicated by
1. HBV DNA
2. DNA polymerase
3. HBe Ag
4. All of the above

Correct answer: 4. All of the above